Regarding Schick's test which of the following is false?
1. Erythematous reaction in both arm indicates hypersensitivity
2. Positive test means that person is immune to Diphtheria
3. Diphtheria toxin is given intradermally
4. Test done to find out immune status against diphtheria

Correct answer: 2. Positive test means that person is immune to Diphtheria

Explanation: The false statement regarding Schick test is that Positive test means that person is immune to Diphtheria. Schick test: 1.Type- Neutralization test (Toxin - antitoxin). 2.Use- It is used to find the immune status for diphtheria, Intradermal test readings are at 1-2 days and 5-7 days, but not in use because safer toxoid preparations are available. Interpretation of the test: Schick test-Positive means that person is susceptible to Diphtheria. So vaccine was administered. Schick test-Negative means that person is immune to Diphtheria. Schick test - Pseudo-positive: when there is only erythema and it disappears within 4 days. Reaction in both arm indicates person is immune but hypersensitive to the toxin. Schick test - Combined reaction: Initial picture is like that of the pseudo-reaction but the erythema fades off after 4 days only in the control arm. It progresses on the test arm to a typical positive. The person is both susceptible and hypersensitive.